Muscles have which efferent nerve fibers for regulating tone?
1. a-neuron
2. Gamma neuron
3. Beta neuron
4. Delta neuron

Correct answer: 2. Gamma neuron

Explanation: Ans. is 'b' i.e., Gamma neuron(Ref: Ganong 23'd/e p.158-162; Guyton 12n/e p. 657)Muscle tone is maintained by stretch reflex through muscle spindles (intrafusal fibers).